Structures in the portal triad are all except:
1. Hepatic artery
2. Hepatic vein
3. Portal vein
4. Bile duct

Correct answer: 2. Hepatic vein

Explanation: Ans. B. Hepatic veinThe hepatic lobules are small divisions of the liver defined at the microscopic (histological) scale. The hepatic lobule is a building block of the liver tissue, consisting of a portal triad, hepatocytes arranged in linear cords between a capillary network, and a central vein.A portal triad is a distinctive arrangement within lobules. It consists of the following structures:a. Hepatic arteryb. Portal veinc. Bile duct